The stomach motility is inhibited by
1. Histamine
2. Angiotensin
3. Acetylcholine
4. Dopamine

Correct answer: 4. Dopamine

Explanation: The physiologic function of the dopamine in the circulation is unknown. However, injected dopamine produces renal vasodilation, probably by acting on a specific dopaminergic receptor. It also produces vasodilation in the mesentery. Elsewhere, it produces vasoconstriction, probably by releasing norepinephrine, and it has a positive inotropic effect on the heart by an action on b 1 -adrenergic receptors. The net effect of moderate doses of dopamine is an increase in systolic pressure and no change in diastolic pressure. Because of these actions, dopamine is useful in the treatment of traumatic and cardiogenic shock (see Chapter 33). Dopamine is made in the renal cortex. It causes natriuresis and may exert this effect by inhibiting renal Na+-K+ ATPase.Ref: Ganong's review of medical physiology 23rd edition Page no: 342